Which anticancer drug inhibits dihydrofolate reductase?
1. Vincristine
2. Methotrexate
3. Paclitaxel
4. Cisplatin

Correct answer: 2. Methotrexate

Explanation: Ref: K.D. Tripathi, 6th ed. pg. 823* Methotrexate is one of the oldest and highly efficacious antineoplastic drugs* MOA: It inhibits dihydrofolate reductase (DHFRase)- blocking the conversion of dihydrofolic acid (DHFA) to tetrahydrofolic acid (THFA) which is an essential coenzyme required for one carbon transfer reactions in de novo purine synthesis and amino acid interconversions.* DHFRase inhibitors are: methotrexate, Pemetrexed, Pralatrexate* Vincristine is a mitotic spindle formation inhibitor* Paclitaxel is a spindle breakdown inhibitor* Cisplatin is a platinum based compound.